3-4 months baby with heart rate 250/min, QRS complex less than 0.07 sec and no P wave, Diagnosis will be
1. SVT
2. Sinus tachycardia
3. PSVT with block
4. VT

Correct answer: 1. SVT

Explanation: SVTs are the most common symptomatic arrhythmias in all children including neonates.SVTs usually haveRate > 200 beats/minuteNormal or narrow (<0.07 sec, A wide QRS > 0.07 sec favours the diagnosis of ventricular tachycardia).Ventricular complexes on the surface ECG.